Kelly's medium is used in the isolation of ?
1. Leptospira
2. Borrelia
3. Bartonella
4. Brucella

Correct answer: 2. Borrelia

Explanation: Ans. is 'b' i.e., Borrelia . Modified Kelley's (BSK) medium is used for Borrelia burgdorferi. Laboratory diagnosis of Lyme disease . The culture of B. burgdorferi in Barbour - Stoenner - kelly (BSK) medium permits definitive diagnosis, but this complex method has been used only research studies. . Because of the problems associated with direct detection of B. burgdorferi, lyme disease is usually diagnosed by the recognition of a characteristic clinical picture with serological confirmation. . A two step approch is used in which samples are first tested by ELISA and equivocal or positive results are then tested by western blotting. . Major use for PCR testing in lyme disease --> Detection of B. burgdorferi in synovial fluid.